Conscious sedation in dentoalveolar surgery is best done by
1. Sevoflurane
2. Isoflurane
3. Midazolam
4. Morphine

Correct answer: 3. Midazolam